Immunoglobulins present in milk
1. IgM
2. IgA
3. IgD
4. IgE

Correct answer: 2. IgA